Which is the sequence present next to shine- Dalgarno sequence in prokaryotes
1. AUG
2. UAG
3. UGA
4. UAA

Correct answer: 1. AUG

Explanation: Shine Dalgarno is a marker sequence in prokarytes and it helps in indentification of initiator codon.